Investigation of choice for SCIWORA is
1. CT
2. X-ray
3. MRI
4. All of the above

Correct answer: 3. MRI

Explanation: 'SCIWORA' is the abbreviation of 'spinal cord injury without radiographic abnormality'. MRI is the Investigation of Choice and has normal plain film and CT findings. It tends to occur in the paediatric population and involves upper cervical spinal cord. MRI cervical-dorsal spine Sagitta view of a paediatric patient showing hyper intensity in spinal cord at C7-D1 level s/o spinal cord contusion.